In an open injury during toileting and debridement,muscle viability is detected by -a) Colour of the muscleb) Muscle sizec) Muscle functiond) Muscle contractilitye) Punctate bleeding spots on cut edge
1. acd
2. ade
3. abd
4. ad

Correct answer: 2. ade

Explanation: Muscle viability is detected by '4C'

Colour - dead muscle has dark unhealthy colour, has lost its sheen
Contractility - dead muscles does not twitch when held by forceps.
Consistency - dead muscles has lost its turgor and is mushy in consistency.
Capillary bleeding - dead muscle does not bleed at cut ends.

Also remember
Most important step in wound toileting & debridement is excision of dead tissues, that's why better term for toileting & debridement is 'wound excision'.